Most common manifestation of cardiac lupus is-
1. Pericarditis
2. Myocarditis
3. Libman-Sacks endocarditis
4. Aortic regurgitation

Correct answer: 1. Pericarditis

Explanation: the most common manifestation of cardiac lupus is pericardial inflammation or pericarditis Pericarditis. Pericarditis is the most common heart problem associated with active lupus and occurs in about 25% of people with SLE. The condition occurs when the pericardium--the thin membrane surrounding your heart--becomes swollen and irritated, causing it to leak fluid around the heart. Ref Davidson 23rd edtion pg 470